The following are the psychiatric sequelae after stroke in elderly :a) Depressionb) Post traumatic stress disorder c) Dementiad) Hysteria
1. a
2. bc
3. ac
4. b

Correct answer: 3. ac

Explanation: Four common psychiatric disorder in old age (> 60 years) are :  Dementia (3 - 10%), Depression (1 - 3%), Alcoholism (0.5 - 2.5%) and Paranoia (0.5 - 2.5%).